A 45 year old patient comes with greenish discharge of the breast. She also complains of tender mass below areolar tissue. Which of the following is true about this condition?
1. Associated with smoking
2. Associated with alcohol intake
3. Always unilateral
4. Single duct is involved

Correct answer: 1. Associated with smoking

Explanation: This is a case of duct ectasia.
It occurs between 40 to 55 years of age.
Usually  bilateral and multifocal.
It is associated with the smoking.
Treatment is to stop smoking and hadfields operation.